Which one of the following is a conjugated vaccine-
1. Hepatitis B
2. Rubella
3. Hemophilius influenza
4. Pertussis

Correct answer: 3. Hemophilius influenza

Explanation: Ans. is 'c' i.e., Hemophillus influenzae HIB PRP vaccine (conjugate vaccine) is available for H. influenzae type b. o Currently no vaccine is available for non typable strains.